SIS stands for-
1. Saline infused sonography
2. System induced safety
3. Saline infusion syndrome
4. Self inflicted stab

Correct answer: 1. Saline infused sonography

Explanation: SIS stands for- Saline infused sonography. USG used to evaluate tubal patency.